Which of the following hormones are secreted by Pheochromocytoma to cause its clinical manifestations?
1. Epinephrine
2. Norepinephrine
3. Dopamine
4. All

Correct answer: 4. All

Explanation: Hypertension in pheochromocytoma results from the direct effect of high circulating levels of catecholamines, primarily noradrenaline, adrenaline, and dopamine. Some tumors produce the catecholamine precursor L-dopa. Pheochromocytomas also secrete numerous other peptide hormones, among which are renin, VIP, neuropeptide, Y, somatostatin, and ET-1. These substances are responsible for many of the nonhypertensive symptoms seen in patients with pheochromocytoma, including flushing, sweating, and diarrhoea. Ref: Pediatric Nephrology, 5e By Ellis D. Avner, William E. Harmon, Ellis D. Avner William Harmon Patrick Niaudet, 2003, Page 1167; Harrison's Internal Medicine > Chapter 337. Pheochromocytoma